Arlts line is seen in
1. Vernal keratoconjunctis
2. Pterygium
3. Ocular pemphigoid
4. Trachoma

Correct answer: 4. Trachoma

Explanation: Arlts line is a linear scarring on the upper palpebral conjunctiva in patients of trachoma REF:Refer Khurana 6th edition page number 69